In a patient with anterior uveitis, what is the cause of decrease in vision due to posterior segment involvement?
1. Visual Floaters
2. Inflammatory Disc Edema
3. Exudative Retinal Detachment
4. Cystoid macular edema (CME)

Correct answer: 4. Cystoid macular edema (CME)

Explanation: Most common cause of decreased vision in a patient with anterior uveitis is cystoid macular edema. In uveitis causes of decreased visual acuity are severe anterior segment inflammation, lens opacities, vitritis, optic nerve involvement, and retinal involvement such as edema, choroiditis, retinitis and scarring.